Scratch sign is positive in
1. Tinea capitis
2. Tinea unguium
3. Tinea versicolor
4. Tinea mannum

Correct answer: 3. Tinea versicolor

Explanation: Scratch sign is present in Tinea versicolor, where firmly scratching the skin makes the scales visible.